The mother brings her 2 year old child  to OPD with gum swelling on lower back tooth region. On intraoral examination, smooth - surfaced bluish lesion associated with erupting 75. Radiographic examination reveals a soft tissue shadow 
 and there is no bone involvement. What is the most probable diagnosis?
1. Eruption cyst
2. Dentigerous cyst
3. Nasolabial cyst
4. Any of the above

Correct answer: 1. Eruption cyst

Explanation: Eruption cyst is defined as an odontogenic cyst with the histologic features of a dentigerous cyst that surrounds a tooth crown that has erupted through bone, but not soft tissue and is clinically visible as a soft fluctuant mass on the alveolar ridges. An eruption cyst or ‘eruption hematoma’ is in fact a dentigerous cyst occurring in the soft tissues (Shear, 1992). Whereas, the  dentigerous cyst develops around the crown of an unerupted tooth lying in the bone, the eruption cyst occurs when a tooth is impeded in its eruption within the soft tissue overlying the bone.
Shafer's Oral pathology Pg- 263, 264